All of the following are anti tussives EXCEPT:
1. Codeine
2. Dextromethorphan
3. Ambroxol
4. Noscapine

Correct answer: 3. Ambroxol

Explanation: Ans. (c) AmbroxolRef. KDT 6th ed. / 214* Ambroxol is a metabolite of bromhexine having mucolytic action.* Antitussives are drugs that act in the CNS to raise the threshold of cough centre.* Since antitussives aim to control rather than eliminate cough they are used only for dry unproductive cough or if cough is unduly tiring, disturbs sleep or is hazardous.MucolyticsAntitussives* Bromhexine* Ambroxol* Acetylcysteine* CarbocisteineOpioids* Codeine* PholcodeineNonopioids* Noscapine* Dextromethorphan* Chlophedianol